J-Receptors are present in:
1. stomach
2. pulmonary capillary walls
3. wall of the trachea
4. pulmonary interstitium

Correct answer: 4. pulmonary interstitium

Explanation: J receptors are juxtapulmonary capillary receptors. They are located in the lung interstitium, adjacent to the alveoli (juxta-alveolar). There are 3 receptors present in the trachea-bronchial tree or pulmonary interstitium. The J-receptors are the end-organs located on the unmyelinated C-type vagal fibers. J-receptors are stimulated by mechanical or chemical stimulation in the lung interstitium. They are particularly sensitive to mechanical events such as edema or congestion in the lungs. When stimulated by such events,they cause apnea, followed by rapid shallow breathing,cardiovascular depression (bradycardia, hypotension),bronchoconstriction, increased airway secretion.